Criteria for primary hyperaldosteronism, all except-a) Diastolic hypertension without edemab) Metabolic acidosis presentc) Low secretion of rennind) Low secretion of aldosterone in spite of reduced volume fluid
1. c
2. bd
3. ab
4. ac

Correct answer: 2. bd